Differentiation between N.gonorrheae and N.meningitidis can be done by:
1. Glucose fermentation
2. VP reaction
3. Maltose fermentation
4. Indole test

Correct answer: 3. Maltose fermentation